Which of the following anesthetic agent does not cause hypotension on injection?
1. Propofol
2. Ketamine
3. Halothane
4. Thiopentone

Correct answer: 2. Ketamine

Explanation: Ketamine, sold under the brand name Ketalar among others, is a medication mainly used for starting and maintaining anesthesia. It induces a trance-like state while providing pain relief, sedation, and memory loss.